Which of the following device is used for measuring the maximum force of closure:
1. Will's gauge.
2. Boley gauge.
3. Boos bimeter.
4. All of the above.

Correct answer: 3. Boos bimeter.

Explanation: Will’s gauge is used to measure vertical height of face.
Boley gauge is used to record the measurements between the borders of maxillary and mandibular dentures.
Boos bimeter - device measuring maximum force of closure.